Physiological uncoupler is-
1. Thermogonin
2. 2, 4 nitrophenol
3. 2, 4Dinitrophenol
4. Oligomycin

Correct answer: 1. Thermogonin

Explanation: Ans. is 'a' i.e., Thermogenin o Amongst the given options, a, b and c are uncouplers.o However, only thermogenin, among these three is a natural (physiological) uncoupler.i) Natural:- Thermogenin, thyroxineii) Synthetic:- 2,4-dinitrophenol (2,4-DNP), 2,4-dinitrocresol (2,4-DNC), and CCCP (chlorocarbonylcyanidephenyl hydrazone).